Obstruction of IVC leads to
1. Dilatation of thoracoepigastric veins
2. Caput medusae
3. Hemorrhoids
4. Esophageal varices

Correct answer: 1. Dilatation of thoracoepigastric veins